What is the Thinnest part of neuro-retinal rim according to ISNT rule?
1. Inferior
2. Superficial
3. Temporal
4. Medial

Correct answer: 3. Temporal

Explanation: The ISNT rule is an easy way to remember how the optic nerve is supposed to look in a normal eye. Normally the neuro-retinal rim is thickest Inferiorly and thinnest Temporally. With glaucoma, however, you begin to see vertical thinning, with atrophy along the inferior and superior rims REF : AK KHURANA 7TH ED